Aerogenic Shigella:
1. Shigella flexneri Type 6
2. Shigella dysenteriae Type 1
3. Shigella sonnei
4. Shigella boydii Type 4

Correct answer: 1. Shigella flexneri Type 6

Explanation: Ref: Ananthanarayan, Paniker CJ. Textbook of Microbiology. 8th Edition. London: John Wiley <PS Sons; 2009. Pg. 284Explanation:Shigella spp. which ferment glucose with production of gas are known as aerogenic Shigella.The Shigella spp. that ferment glucose with production of acid and gas are Newcastle and Manchester biotypes of Shigella flexneri Type 6. and some strains of Shigella boydii types 13 and 14.All other Shigella spp. do not produce gas while fermentation of glucose.S. flexneri, S. boydii and S. sonnei ferment mannitol, while S. dysenteriae does not ferment it.Catalase is produced by all Shigella spp., except S. dysenteriae Type 1.